Highest chance of transmission after needle stick injury is for -
1. Hepatitis B
2. Hepatitis C
3. Hepatitis D
4. hepatitis G

Correct answer: 1. Hepatitis B